Pterygium of nail is characteristically seen in
1. Lichen planus
2. Psoriasis
3. Tinea unguium
4. Alopecia areata

Correct answer: 1. Lichen planus

Explanation: A i.e. Lichen planus